Estimation of FiO2 calculation during the use of nasal cannula in a child is
1. 21% + (Nasal Cannula flow (L/min) X 1)
2. 21% + (Nasal Cannula flow (L/min) X 2)
3. 21% + (Nasal Cannula flow (L/min) X 3)
4. 21% + (Nasal Cannula flow (L/min) X 4)

Correct answer: 3. 21% + (Nasal Cannula flow (L/min) X 3)

Explanation: Answer: c) 21% + (Nasal Cannula flow (L/min) X 3)Oxygen delivery systems for infants and childrenSystemPercent oxygen deliveredIndicationsCommentsBlow byLess than 30 percentUse for spontaneously breathing children who require low doses of oxygen and do not tolerate a maskMonitor pulse oximetryNasal cannula25 to 40 percentUse to deliver low dose oxygen to spontaneously breathing patientsPercent oxygen delivered affected by respiratory rate, tidal volume, and extent of mouth breathing. Flow rate 2L/min or less for infants Fio2=21% + (Nasal Cannula flow (L/min) X 3)Simple mask35 to 50 percentUse to deliver low dose oxygen to spontaneously breathing patientsPercent oxygen delivered affected by mask fit and respiratory ratePartial rebreather Mask50 to 60 percentUse to conserve oxygen Non rebreather maskUp to 95 percentUse to deliver high dose oxygen to spontaneously breathing patientsTight mask fit required to deliver higher concentrations of oxygenHood80 to 90 percentInfants less than one year of ageNoisy for patientTentLess than 50 percentUse for children who require 30 percent oxygen or lessMist may obscure view of patient. Noisy for patient.Self-inflating ventilation bag95 to 100 percent, with reservoirUse to provide assisted ventilation and oxygenDo not use to provide blow by. Must use with a reservoir to provide higher oxygen concentrations.Flow-inflating ventilation bag100 percentUse to provide assisted ventilation and oxygenMay use to provide blow by. Requires experience to use reliably.